Which muscle does not decussate in modiolus
1. Levator labli superious
2. Orbiculesis Oris
3. Zygomaticus major
4. Buccinator

Correct answer: 1. Levator labli superious